which part of the brain is stimulated in vagus nerve stimulation
1. amygdala
2. cingulate bundle
3. raphe nucleus
4. corpus collasum

Correct answer: 3. raphe nucleus

Explanation: Vagus nerve stimulation * Electrical stimulation of left vagus nerve * Stimulation of raphe nucleus and locus cereleus * Release of norepinephrine and serotonin * Side effects * Voice alteration Ref. kaplon and sadock, synopsis of psychiatry, 11 th edition, pg no. 1065